CD59 deficiency leads to:
1. PNH
2. Chediak-Higashi disease
3. Hairy cell leukemia
4. Hemolytic uremic syndrome

Correct answer: 1. PNH

Explanation: Ref. Robbins Pathology. 9th edition. Page. 642
PNH :

Defect in GPI linked proteins  - CD55 and CD 59
Mutation in PIGA gene
Intravascular hemolysis
Triad – IV hemolysis, Thrombosis, Pancytopenia
Can result in AML
Diagnostic methods


HAM test – no more used
Gel card test
Flow cytometry – IOC
Best – FLAER (Fluorescent Aerolysin test)